A patient on lithium therapy is also suffering from hypertension. Which of the following antihypertensive drugs can cause toxicity when given along with lithium to this patient ?
1. Calcium channel blockers
2. Thiazide diuretics
3. Beta blockers
4. Clonidine

Correct answer: 2. Thiazide diuretics

Explanation: Thiazide diuretics cause decrease sodium concentration in the body initially by acting on the DT, which inturn causes increased reabsorption of sodium as a compensatory feedback, thereby causes decreased excretion of lithium, leading to toxicity. This occurs because lithium and sodium excretion are treated in a similar fashion so increased reuptake of sodium implies that there is decreased excretion of lithium from the body leading to lithium toxicity